Probability of Dr Singhla developing acute MI in his life time is 0.8, then what is the odds of developing acute MI in his life time?
1. 64:01:00
2. 8:01
3. 4:01
4. 0.086111111

Correct answer: 3. 4:01

Explanation: Odds = Probability/(1-probability) = 0.8/ (1-0.8) = 4 Ref: Simple biostatistics by Indrayan & indrayan pg. 105-07.